At what period does tuberculosis flare up most commonly in a pregnant patient?
1. First trimester
2. Second trimester
3. Third trimester
4. Puerperium

Correct answer: 4. Puerperium

Explanation: Puerperium demands more Kcals (Extra 500 Kcal Vs extra 300 kcal in pregnancy) and more proteins (65 Vs 60 gms in pregnancy). This combined with immuno-suppression, the poor nourishment of Indian women, along with overcrowding in a small home and the heat and humidity of tropical countries makes an ideal situation for tuberculosis to strike and thrive.